A doctor conducts criminal abortion for a women with consent. He will be prosecuted under which of the following IPC section?
1. 312 IPC
2. 313 IPC
3. 316 IPC
4. 317 IPC

Correct answer: 1. 312 IPC

Explanation: Sections 312-316 of the Indian Penal Code have made criminal abortion punishable. Section 312: Explanation appended to the Section makes it clear that this Section applies equally to both, to the woman miscarrying and to the abortionist who causes her miscarriage. The offense is committed by the latter with the consent of the woman and they, therefore, are both particeps criminis. Ref - Krishan Vij textbook of forensic medicine and toxicology 5e pg - 387